Coasting effect is seen with
1. Nitrogen mustards
2. Methotrexate
3. Platinum compounds
4. Dacarbazine

Correct answer: 3. Platinum compounds

Explanation: Platinum compounds can result in Coasting effect. It is the term used to describe the sensory loss seen even after the cessation of chemotherapy.